Randall's plaques causes -
1. Bile stones
2. Urinary stones
3. Premalignant lesions
4. Bacterial infections

Correct answer: 2. Urinary stones

Explanation: Ans. is 'b' i.e., Urinary stones